The following is the 1st respiratory reflex which helps in the first breath of newborn
1. Hering - Breuer's reflex
2. J - reflex
3. Head's Paradox reflex
4. None of the above

Correct answer: 3. Head's Paradox reflex

Explanation: Hypoxia stimulates inflation of lungs. Inflation augments furthur inflation.